Diamond sign is seen in
1. Zenker's diverticulum
2. Morgagni hernia
3. CHPS
4. Bochdalek hernia

Correct answer: 3. CHPS

Explanation: "Diamond"sign is a transient triangular tent-like cleft/niche in the middle of the pyloric canal, Seen in case of Congenital Hypertrophic Pyloric Stenosis . Congenital hypertrophic pyloric stenosis :- - usually presents around 3-12 weeks of age; as non bilious vomiting in a 1st born male - IXOC - USG - On USG appears as - target sign /cervix sign/antral nipple sign Other signs seen in CHPS :- - string sign - diamond sign - mushroom sign